Not true about varicocele is :
1. Common on the right side
2. Can present as a late sign of renal cell carcinoma
3. Has bag of worm like feeling
4. Can lead to infertility

Correct answer: 1. Common on the right side

Explanation: Ans. is 'a' ie Common on the Rt. side Varicocele is seen on left side in 95% of cases VaricoceleIt is seen 95% of times on left side.Several anatomic features contribute to the predominance of left-sided varicoceles. The left internal spermatic vein is longer than the right; in addition, it usually joins the left renal vein at right angles. The right internal spermatic vein has a more oblique insertion into the inferior vena cava. This particular anatomy in the standing man may cause higher venous pressures to be transmitted to the left scrotal veins and result in retrograde reflux of blood into the pampiniform plexus.Clinical pictureAge - young adultTall thin men are frequently affected* *Bag of worms* like feel on palpationThe veins empty in supine position (so examination is always done in standing position)* Infertility : The varicocele is the most common cause of male infertility worldwide. In approximately 70% of patients with secondary infertility, a varicocele is an underlying cause. "The World Health Organization concluded that varicoceles are clearly associated with impairment of testicular function and infertility. " Varicocele may be secondary to renal cell carcinoma of the left kidney. The growth from renal cell carcinoma blocks the renal vein by venous permeation. So sudden onset of varicocele (left side) in middle aged man should arouse suspicion of a renal cell carcinoma of the left side.In renal cell Ca, the varicocele does not decompress in the supine positon*.